Fibrinoid necrosis may be observed in all of the following, except
1. Malignant hypertension
2. Polyarteritis nodosa
3. Diabetic glomerulonephritis
4. Aschoff's nodules

Correct answer: 3. Diabetic glomerulonephritis

Explanation: Ref Robbins 7/e p214,594,1008,;9/e p44 Fibrinoid necrosis is a special form of necrosis, visible by light microscopy, usually in immune reactions in which complexes of antigens and antibodies are deposited in the walls of arteries. The deposited immune complexes, together with fibrin that has leaked out of vessels, produce a bright pink and amorphous appearance on H&E prepara- tions called fibrinoid (fibrin-like) by pathologists (Fig. 1-13). The immunologically mediated diseases (e.g., poly- arteritis nodosa) in which this type of necrosis is seen are described in Chapter 4